A 15-year-old boy presented with day dreaming and decline in school performance. The likely possibility is?
1. Atonic seizure
2. Myoclonic seizure
3. Typical absence seizure
4. Atypical absence seizure

Correct answer: 3. Typical absence seizure

Explanation: c. Typical absence seizure(Ref: Nelson's 20/e p 2831-2856, Ghai 8/e p 557-561)Typical absence seizures may present in adolescents with day dreaming and decline in school performance.